In mycoplasma pneumonia, following are seen except
1. Diffuse infiltration of lungs
2. Cannot be cultured routinely
3. Cefotaxime is the drug of choice
4. Serology is useful in diagnosis

Correct answer: 3. Cefotaxime is the drug of choice

Explanation: Answer is C (Cefotaxime is the drug of choice): The drugs of choice Jim mycoplasina are Erythromycin and Doxycycline and not Cefotaxime.